Not a diagnostic/defining criteria for amnestic disorder
1. Visual hallucination
2. Transient delusion
3. Impaired concentration/attention
4. All

Correct answer: 4. All

Explanation: A i.e. Visual hallucination; B i.e. Transient delusion; C i.e. Impaired concentration/attention For diagnosis DSM IV requires Development of memory impairment as manifested by impaired ability to learn new information or the inability to recall previously learned informationQ. Memory disturbance causes significant impairment in social & occupation functioning & represents a significant decline from a previous level of functioning. Memory disturbance does not occur exclusively during the course of a delirium & dementia. May be d/t general medical condition (including trauma) or substance induced (alcohol, hypnotic, sedative etc) . ICD-10 criteria for organic amnesic syndrome A. Memory impairment, manifest in both Defect in recent memory (impaired learning of new material i.e. antegrade amnesia)Q. Reduced ability to recall past experiences (retrograde amnesia)Q. B. Absence of (or there is no) Defect in immediate recall (tested by digit span) Clouding of consciousness & disturbance of attentionQ (delirium) Global intellectual decline (dementia)Q C. Objective evidence (history, examination or lab test) of an insult to or disease of brain especially involving b/I diencephalic & medial temporal structures (but other than alcoholic encephalopathy) . * Confabulation, emotional change (apathy & lack of initiative) & lackof insight are addition pointers to diagnosis but are not invariably present.